Dental lamina cysts of new born are seen at:
1. The junction of hard and soft palate
2. Along the median raphae of hard palate
3. The alveolar ridges
4. None of the above

Correct answer: 3. The alveolar ridges

Explanation: "Bohn's nodules" are seen at the junction of hard and soft palate, whereas "Epstein pearls" are seen along the median raphae of hard palate. A third type known as "Dental lamina cysts of new born" are seen on the alveolar ridges.